Sterilization is defined as
1. Disinfecon of skin
2. Complete destrucon of all microorganisms
3. Destrucon of pathogenic organisms
4. Decrease bacterial count from objects

Correct answer: 2. Complete destrucon of all microorganisms

Explanation: Sterilizaon
o The process by which an arcle surface or medium is freed of all living microorganisms either in the vegetave or spore state →
Complete absence of microorganism. Disinfecon o Destrucon or removal of all pathogenic organisms capable of giving rise to infecon →
reducon in the microorganisms to such a level which is deemed no longer harmful to health. o Unlike sterilizaon, disinfecon is not sporicidal (does not kill spores). Decontaminaon
o The process of rendering ofan arcle or area free of dangerfrom contaminants, including microbialt chemical, radioacve and other hazards.
Ansepsis o It is defined as” Prevenon of infecon, usually by inhibing the growth of bacteria in wound or ssues”. Ansepcs o
Chemical disinfectants which can be safely applied to skin or mucous membrane are called ansepcs or skin disinfaetant.
o Best and most commonly used ansepc is povidone iodine (betadine).
Commonly used skin disinfectants for hand washing are povidone iodine (betadine), chlorhexidine and isopropyl alcohol. Disinfectants o Anmicrobials applied only to inanimate object.
They are not used for surface disinfecon^^ (skin or mucous membrane). Germicides o These include both ansepcs and disinfectant.